All of the following are true of Reye's syndrome, except-
1. It fequently complicates viral infections
2. Prothrombin time is prolonged
3. Disease may be precipitated by salictylates
4. Deep jaundice is present

Correct answer: 4. Deep jaundice is present

Explanation: Ans. is 'd' i.e., Deep jaundice is present Clinical manifestations of Reye's syndrome o There are five stages for clinical pictures ? 1) Stage I Quiet, lethargic, sleepy, vomiting, anorexia, apathy. 2) Stage II --> Deep lethargy, delirium, restlessness, agitated, hyperventilation. 3) Stage III --> Light coma, decorticate rigidity. 4) Stage IV --> Seizures, deepening coma, decerebrate rigidity 5) Stage V Deep coma, flaccidity, loss of reflexes, respiratory arrest.